The commonest cause of death in the sophisticated world -
1. Ischemic heart disease
2. Accidents
3. Infectious disease
4. None of the above

Correct answer: 1. Ischemic heart disease

Explanation: Coronary heart disease (Ischemic heart disease) 

CHD is defined as "impairment of heart function due to inadequate blood flow to the heart compared to its needs, caused by obstructive changes in the coronary circulation to the heart".
It is the most common cause of death in developed countries and account for 25-30% of deaths.
CHD is modern epidemic, i.e. a disease that affects populations, not an unavoidable attribute of ageing.